A child had hematuria and nephrotic syndrome (minimal change disease) was diagnosed. Which of the following statement about this condition is TRUE?
1. A type of focal segmental GN
2. IgA deposition is seen on basement membrane
3. Foot process of glomerular membrane normal
4. Glomerular function is lost due to loss of poly charge on both sites of glomerular foot process.

Correct answer: 4. Glomerular function is lost due to loss of poly charge on both sites of glomerular foot process.

Explanation: In minimal change disease there is loss of charge selectivity of basement membrane resulting in loss of highly negatively charged albumin, which were normally restricted from being filtered on the basis of charge alone. Minimal change disease cause 70-90% of nephrotic syndrome in childhood but only 10-15% of nephrotic syndrome in adults. Renal biopsy does not show obvious glomerular lesion, and is negative for deposits by immunofluorescence microscopy. Electron microscopy demonstrates an effacement of the foot process supporting the epithelial podocytes with weakening of slit-pore membranes. Patients with nephrotic syndrome are at increased risk of thromboembolic events, develop severe hyperlipidemia, and may experience protein malnutrition. Ref: Harrison's Principles of Internal Medicine 18e chapter 283. Renal and Electrolyte Disorders edited by Robert W. Schrier page 524.